All are causes of increased anion gap except?
1. DKA
2. Starvation
3. Ethylene glycol poisoning
4. Glue sniffing

Correct answer: 4. Glue sniffing

Explanation: Ans. is 'd' i.e., Glue sniffing Causes of High anion gap acidosisLactic acidosisToxinsEthylene glycolMethanolSalicylatesRenal failureKetoacidosisDiabetesAlcoholStarvation